Diffusion hypoxia is seen with –
1. Ether
2. Cyclopropane
3. Halothane
4. Nitrous oxide

Correct answer: 4. Nitrous oxide

Explanation: Beside N2O, Xenon can cause diffusion hypoxia during recovery.
Diffusion hypoxia occurs in first 5-10 minutes of recovery.